Regarding Fordyce spots :
1. Represent internal maliganancy
2. Ectopic sebaceous glands
3. Present in axillae
4. All

Correct answer: 2. Ectopic sebaceous glands

Explanation: B i.e. Ectopic Sebaceous gland